Characteristics of glycoprotein:
1. Protein linked with glycosidic bond
2. Core protein
3. Sugar residues are long in carbohydrate portion of glycoprotein
4. None

Correct answer: 1. Protein linked with glycosidic bond

Explanation: A i.e. Protein linked with glycosidic bond